Biological indicator for determining efficacy of autoclaving is:
1. Pseudomonas aeruginosa
2. Clostridium Perfringenes
3. Bacillus stearothermophilus
4. Salmonella typhi

Correct answer: 3. Bacillus stearothermophilus

Explanation: Ans. C: Bacillus stearothermophilus